Sago grain like lesions between fingers is characteristic of
1. Pompholyx
2. Erythema multiformae
3. Scabies
4. Papular utricaria

Correct answer: 1. Pompholyx

Explanation: Pompholyx, an endogenous eczema is a morphological variant of hand and foot eczema. It is characterized by palmoplantar vesiculation presenting as intensely itchy deep-seated vesicles resembling sago grains History of atopy is seen Responds to topical corticosteroids Ref Harrison 20th edition pg 1267